Dislocation of lens is seen in all the following conditions except :
1. Congenital Rubella
2. Marchesani's Syndrome
3. Marfan Syndrome
4. Homocystinuria

Correct answer: 1. Congenital Rubella

Explanation: A i.e. Congenital Rubella